The first heart sound is produced by the:
1. Closure of the aortic and pulmonary valves
2. Opening of the aortic and pulmonary valves
3. Closure of the mitral and tricuspid valves
4. Opening of the mitral and tricuspid valves

Correct answer: 3. Closure of the mitral and tricuspid valves